All of the following can be analyzed with chi square test except?
1. Sex and stage of cancer
2. Heart rate/min and Age
3. Benign or malignant, and type of surgery
4. Age group and cancer stage

Correct answer: 2. Heart rate/min and Age

Explanation: (b) Heart rate/min and Age,Ref: Biostatistics Principles and Practice by B Antonisamy, Me graw hill publication, Pg-117In given question, all options except heart rate/minute and age are of qualitative variables (nominal or ordinal).Qualitative variables are usually presented in frequencies or count.Chi square test is used to compare any difference or association between two qualitative variables. Heart rate/minute and age are quantitative variables where chi square test cannot be applied. Hence correct answer is b here.